Most commonly lesion associated with pathological fracture in hand is -
1. Enchondroma
2. Metastases
3. Osteoid osteoma
4. Osteochondroma

Correct answer: 1. Enchondroma

Explanation: Ans. is 'a' i.e., Enchondroma Pathological fractures in hand* In hand pathological fractures are most commonly associated with benign bone tumors.* About 23 % of the bone tumors in hand present with pathological fractures.* The average age of presentation is 37 years.* The most common bone affected is the proximal phalynx, the fifth ray was involved in 44% of the patients.* Majority (approximately 88%) of the pathological fractures are caused by enchondromas.